Treatment of orthostatic hypotension is-
1. Dopamine
2. Diuretics
3. Fludrocortisone
4. Calcium channel blockers

Correct answer: 3. Fludrocortisone

Explanation: fludrocortisone is used to treat orthostatic hypertension by increasing the fluid in the blood Fludrocortisone acetate is a synthetic adrenocortical steroid with high mineralocorticoid activity that results in an increase in plasma volume and increased sensitivity of a-adrenoreceptors. Other than fludrocortisone, common therapies for orthostatic hypotension include midodrine hydrochloride and droxidopa Ref Davidson 23rd edition pg 470